Macrophages are converted to epitheloid cells by which cytokine-
1. IL-2
2. IFN-y
3. TNF-a
4. TGF-b

Correct answer: 2. IFN-y

Explanation: Ref Robbins 9)e p46 IL 1and 2 stimulate proliferation of more T cells. Interferon gamma activated macrophages. TNF alpha promoters fibroblasts proliferation and activates endothelium to secreted PGs which have a role in vascular response in inflammation. TGF Beta and PDGF elaborated by the macrophages stimulate fibroblast growth. .